A patient on treatment for leukemia, develops chest pain, pulmonary infiltrates and pleural effusion. The likely cause is
1. Daunorubicin
2. Hydroxyurea
3. Cytarabine
4. Tretinoin

Correct answer: 4. Tretinoin

Explanation: Ans. (D) Tretinoin(Ref: Katzung 10th/899; KDT 8th/e p928)Tretinoin causes chest pain, pleuritis, pulmonary infiltrates and pleural effusion. It is a known human teratogen. Daunorubicin and doxorubicin cause cardiotoxicity manifested as arrhythmias and CHF.